Willem Einthoven got Nobel Prize for
1. Insulin
2. ECG
3. Plasmodium life cycle
4. Penicillin

Correct answer: 2. ECG

Explanation: List of Nobel Laureates

Willem Einthoven : ECG.
Sir Alexander Fleming : Penicillin.
Paul. H. Muller : DDT.
Sir Godfrey N.Hounsfield : Human blood groups.
Karl Landsteiner : Human blood groups.
Paul Ehrlich : Immunity.
Sir Peter Mansfield : MRI.